Double bubble sign is seen in:-
1. Duodenal Atresia
2. Jejunal atresia
3. Ileal atresia
4. Hypertrophic pyloric stenosis

Correct answer: 1. Duodenal Atresia

Explanation: Ans. (a) Duodenal AtresiaRef.: SRB manual of Surgery, 4th ed. /1280* The diagnosis of duodenal atresia on X ray abdomen shows two large air filled spaces, called "double bubble" sign.* The air is trapped in the stomach and proximal duodenum, which are separated by the pyloric sphincter, creating the appearance of two bubbles visible on x-ray.* Since the closure of the duodenum is complete in duodenal atresia, no air is seen in the distal duodenum.